BCR ABL gene mutation is seen in?
1. CML
2. AML
3. CLL
4. ALL

Correct answer: 1. CML

Explanation: CML is distinguished from other myeloproliferative disorders by the presence of a chimeric BCR-ABL gene derived from the portions of BCR gene on chromosome 22 and ABL gene on chromosome 9.It directs the synthesis of a constitutively active BCR-ABL tyrosine kinase. Reference; Robbins and Cotran Pathologic basis of disease.South Asia Edition volume 1.page no. 616